Burkholderia cepacia is intrinsically resistant to
1. Ciprofloxacin
2. Polymyxin
3. Cotrimoxazole
4. Ceftazidime

Correct answer: 2. Polymyxin

Explanation: (B) Polymyxin[?]BURKHOLDERIA CEPACIA COMPLEX is a group of Gram negative, catalase positive and lactose non fermenting species (nine species).oThis microrganism causes pneumonia in immunocompromized patients and lung disease in patients affected by cystic fibrosis or chronic granulomatosis disease.oPathogenesis: organisms may be found in water or in soil and can survive in wet areas, also person to person spread has been documented.oInfection can cause a rapid decline in the lung function resulting in death.oB. cepacia complex is naturally resistant to many common antibiotics including Aminoglicosides or Polimixyn B (used for identification of organism: polymixin bacitracin lactose agar)oB. cepacia complex strains are intrinsically resistant to a wide range of antimicrobial agents, including aminoglycosides, polymyxin, first and second generation cephalosporins, and carboxypenicillinsoAntimicrobial agents that are effective against B. cepacia complex include meropenem, ceftazidime, piperacillin, temocillin, and trimethoprim-sulfamethoxazole.Burkholderia cepacian-'Burkholderia cepacia' How resistant?-Biodegradation of synthetic herbicides and petroleum oxidants.-Panresistance to antibiotics.-Can utilize penicillin as nutrient!-Resistance to natural antimicrobial peptides (defensins) of amoebae, insects, animals and humans - explains CGD.Other Options[?]CiprofloxacinoHighly susceptible-E. coli, K. pneumoniae, Enterobacter, Salmonella typhi, other Salmonella, Shigella, Proteus, Neisseria gonorrhoeae, N. meningitidis, H. influenzae, H. ducreyi, Campylobacter jejuni, Yersinia enterocolitica, Vibrio choleraeoModerately susceptible-Pseudomonas aeruginosa, Staph, aureus, (including few MRSA), Staph, epidermidis, Branhamella catarrhalis, Legionella, Brucella, Listeria, Bacillus anthracis, Mycobact. tuberculosis[?]CotrimoxazoleoThe fixed dose combination of trimethoprim and sulfamethoxazole is called cotrimoxazole.oSpectrum of action Antibacterial spectra of trimethoprim and sulfonamides overlap considerably.oAdditional organisms covered by the combination are-Salmonella typhi, Serratia, Klebsiella, Enterobacter, Yersinia enterocolitica, Pneumocystis jiroveci and many sulfonamideresistant strains of Staph, aureus, Strep, pyogenes, Shigella, enteropathogenic E. coli, H.influenzae, gonococci and meningococci.[?]CeftazidimeoThe most prominent feature of this third generation cephalosporin is its high activity against Pseudomonas.oIt has been specifically used in febrile neutropenic patients with haematological malignancies, burn, etc.oIts activity against Enterobacteriaceae is similar to that of cefotaxime, but it is less active on Staph, aureus, other gram positive cocci and anaerobes like Bact. fragilis.